What is the most likely complication in this large, segmental infantile hemangioma of the forearm?
1. Malignant change
2. Ulceration
3. Infection
4. Aesthetic complications after involution

Correct answer: 2. Ulceration

Explanation: Ulceration : MC complication of superficial infantile haemangiomas occurs during the proliferative phase. commonest type to ulcerate is the plaque type. Ulceration is commonest at sites which are vulnerable to trauma or maceration. Malignant change: complication of hepatic haemangiomas, it almost certainly never complicates cutaneous infantile haemangiomas. Infection usually occurs after ulceration.